Apixaban is classified as
1. Parenteral Direct Thrombinn Inhibitor
2. Oral Direct Thrombin Inhibitor
3. Oral factor Xa inhibitor
4. Parenteral factor Xa Inhibitor

Correct answer: 3. Oral factor Xa inhibitor

Explanation: Apixaban is an oral, direct, selective factor Xa inhibitor with a rapid onset of action. Parenteral direct thrombin Inhibitors Oral direct thrombin inhibitor Oral factor Xa inhibitor Lepirudin Desirudin Argatroban Bivalirudin Dabigatran Rivaroxaban Apixaban Edoxaban (Undergoing regulatory review) Ref: Goodman and Gilman 13th edition Pgno: 262